EEG pattern of person at rest with eyes closed
1. Alpha
2. Beta
3. Gamma
4. Delta

Correct answer: 1. Alpha

Explanation: Ans, is 'a' i.e., Alpha Beta (b) waveAlpha (a) waveTheta waveDelta waveRecorded fronry'seen ino From parietal & frontal region during specific activation of these parts of braino Seen in drowsiness & children and patients awake, at rest with eyes open.o Recorded from parieto occipital regiono Seen in almost all normal adults when they are awake and in quiet resting state of cerebrationo Seen in awake patient at rest with mind wandering and eyes closed.o Seen in hippocampuso In parietal and temporal region of normal children &drowsiness, emotional stress in adults especially disappointment and frustration.Seen in very deep NREM sleep & infant,serious organic brain disease, in subcortical transactions separating the ceberal cortex from thalamus.Frequency>14 Hz8-13 Hzo 4-7 Hzo 3-5 Hz (min.)AmplitudeLow amplitudeo High amplitudeo High amplitudeo Large amplitude (Max)Voltage o 50 micro volts (usually) to 100 o 2 to 4 times greater than most other types